Following disaster green colour of triage used for which patients
1. Ambulatory
2. Medium priority
3. High priority
4. Dead

Correct answer: 1. Ambulatory

Explanation: TRIAGE:- * The principle of first come first served is not followed in mass emergencies * Triage consists of rapidly classifying the injured on the basis of severity of their injuries and the likelihood of their survival with prompt medical intervention Four color code system:- * Red -high priority * Yellow - medium priority * Green - ambulatory patients * Black - dead or moribund patients Ref:- K Park, 24th ed; pg num:- 833